Buffer in the embalming fluid consists of all except
1. Sodium borate
2. Sodium bicarbonate
3. Sodium chloride
4. Sodium carbonate

Correct answer: 3. Sodium chloride

Explanation: A typical embalming fluid consists of Formalin 1 and half litres sodium citrate 900 gms sodium chloride 800gms sodium borate 600 gms glycerine 600 ml 1%eosin 30ml water 10 litres Butfers like sodium carbonate and bicarbonate Ref: K.S.Narayan Reddy's Synopsis of Forensic Medicine and Toxicology, 29th edition, Chapter 7, page-97